Bishop-Koop operation done for
1. Meconium ileus
2. Hirhsprung's disease
3. Duodenal atresia
4. Meckel's diverticulum

Correct answer: 1. Meconium ileus

Explanation: .Meconium ileus is neonatal manifestation of fibrocystic disease of the pancreas wherein thick meconium, which is viscid and paste like, gets collected in the terminal ileum. Because of inspissation it forms a firm bolus leading to obstruction of the ileum. Neonates present with features of ileal obstruction as well as respiratory dysfunction, exocrine pancreatic insufficiency, and high salt in the sweat (Na+ and Cl- more than 90 mmol/L).When patient's condition is critical with obstruction, Bishop-Koop operation is done. Proximal dilated segment is resected and resected end is anastomosed to side of the distal collapsed ileum. End of the distal ileum is brought out as ileostomy. Through the ileostomy gastrografin or acetyl cystine wash is given regularly to dissolve meco- nium pellets. This ileostomy can be kept for long time. Continuity is maintained at later period.Reference : page 927-28 SRB's manual of surgery 5th edition